Best artery to palpate for pulse in infants is –
1. Femoral artery
2. Radial artery
3. Carotid artery
4. Brachial artery

Correct answer: 4. Brachial artery

Explanation: Checking and Pulse :

Neonates - Umbilical artery  
1-8 year - Brachial artery                  
> 8 year - Carotid artery
If pulse is not palpable or heart rate is < 60/min begin chest compression.